Fencing attitude in dead bodies is caused by:
1. Coagulation of proteins
2. Emulsification of fat
3. Strangulation
4. Throttling

Correct answer: 1. Coagulation of proteins

Explanation: Ans. (A). Coagulation of proteinsFencing attitude is the other name of heat stiffening.Heat stiffening is due to muscle protein coagulation Q.